The inhalational bronchodilator with long duration of action is:
1. Salbutamol
2. Theophylline
3. Ipratropium bromide
4. Tiotropium bromide

Correct answer: 4. Tiotropium bromide

Explanation: Tiotropium bromide :
A newer congener of ipratropium bromide which binds very tightly to bronchial M1 / M3 muscarinic receptors producing long lasting bronchodilatation.
Reference: Essentials of Medical Pharmacology Eighth Edition KD TRIPATHI page no 128